Illusion is:
1. A false unshaken belief not keeping one's sociaocultural background
2. Perception without stimuli
3. Abnormal perception by a sensory misinterpretation of actual stimulus
4. Fear of closed spaces

Correct answer: 3. Abnormal perception by a sensory misinterpretation of actual stimulus

Explanation: Ans. C: Abnormal perception by a sensory misinterpretation of actual stimulusIllusion is an abnormal perception caused by a sensory misinterpretation of actual stimulus, sometimes precipitated by strong emotion, e.g. fear provoking a person to imagine they have seen an intruder in the shadows.